A patient with abdomen injury presents to the emergency department with signs of peritonitis and shock. Airway and breathing were secured and IV fluids were started with two large bore cannulas. The next line of management should be
1. FAST
2. Exploratory laparotomy under general anaesthesia
3. Insertion of abdominal drain followed by laparotomy
4. Laproscopy

Correct answer: 2. Exploratory laparotomy under general anaesthesia

Explanation: . Haemodynmically unstable-investigations need to be suspended as immediate surgical correction needed. Pg No. 372 bailey 27th edition